Uremic lung most often results due to –
1. Pulmonary edema
2. Fibrosis
3. Alveolar injury
4. CVC liver

Correct answer: 1. Pulmonary edema

Explanation: Uremic lung is a form of pulmonary edema caused primarily by LVF and pulmonary engorgement.